All of the following are true about death by strangulation except -
1. Dribbling of saliva down the chin
2. Bleeding from nose is common
3. Hyoid fracture is common
4. Fracture dislocation of cervical ventebrae is rare

Correct answer: 1. Dribbling of saliva down the chin

Explanation: Dribbling of saliva is a feature of hanging (not strangulation).
Other options are correct